OCP decreases the risk of -
1. Cervical ca
2. Endometrial ca
3. Vaginal ca
4. Liver carcinoma

Correct answer: 2. Endometrial ca

Explanation: Ans. is 'b? i.e., Endometrial ea Benefits of OCPs:Contraceptive benefits:Protection against unwanted pregnancy (failure rate 0.1 per 100 women year)Convenient to useNot intercourse relatedReversibilityImproving maternal and child healthcareNon contraceptive benefits:Improvement of menstrual abnormalities:o Regulation of menstrual cycleo Reduction in dysmenorrhoea (40%), menorrhagia (50%), premenstrual tension syndrome (PMS) and mittelschmerz's syndromeo Protection against iron deficiency anemiaProtection against health disorders:o Pelvic inflammatory' diseaseo Endometriosiso Ectopic pregnancyo Fibrous uterus (Progesterone only pills)o Hirsutism and acneo Functional ovarian cystso Benign breast diseaseo Osteopenia and postmenopausal osteoporotic fractureso Autoimmune disorders of thyroido Rheumatoid arthritisPrevention of malignancies:o Endometrial cancer (50%)o Epithelial ovarian tumours (50%)o Colorectal cancer (40%)Also beneficial in - o DUBo Hormonal therapy for hypothalamic amenorrheao Prevention of menstrual porphyria